Drug dosage best decided in child by -
1. Weight
2. Age
3. Height
4. Investigation

Correct answer: 1. Weight

Explanation: Ans. is 'a' i.e., Weight